A patient with hereditary fructose intolerance is deficient in which of the following enzymes?
1. Aldolase
2. Fructokinase
3. Triokinase
4. All of above

Correct answer: 1. Aldolase